Schedule of drug to be sold only on prescription is:
1. H
2. P
3. G
4. X

Correct answer: 1. H

Explanation: Ans. A. HCAScheduleContent1ASpecimens of forms2BFees of tests/analysis3CBiological special products4DExtent and conditions of exemptions regarding import5EList of poisonous medicine under Ayurveda6FRequirement for functioning of blood bank7GDangerous to take these drugs except under medical supervision8HPrescription drugs: drugs which must be sold by retail only when prescription by RMP is produced9HIDrugs and cosmetic (4th amendment) rules 2013 by MOHFW on 30 August 2013 to regulate sale of antibiotics10MGood Manufacturing practices11NMinimum equipment for efficient running of pharmacy12OProvisions applicable to disinfectant fluids13PLife period of drugs and condition of storage of drugs14QList of permitted dyes, colors, pigments15RStandard for condoms and other contraceptive devices16R1Standard for medical devices17SStandard for cosmetics18TGMP for Ayurvedic, Siddha and Unani medicines19UManufacturing records20XList of narcotic drugs and psychotropic substances21YRequirements and guidelines for permission to import/ manufacture new drugs or to undertake clinical trials